The antidote for acetaminophen poisoning is
1. N-Acetyl cysteine
2. N-Glycolamine
3. Penicillamine
4. Fomepizole

Correct answer: 1. N-Acetyl cysteine